Which of the following is associated with acute hemorrhagic conjunctivitis -
1. Rhabdovirus
2. Enterovirus
3. Calcivirus
4. Echovirus

Correct answer: 2. Enterovirus

Explanation: Acute hemorhagic conjunctivitis is caused by Enterovirus 70. REF:ANATHANARAYAN AND PANIKER'S TEXTBOOK OF MICROBIOLOGY 9TH EDITION PAGE NO:493